Which of the following anaesthetic agent is known to cause dissociative anaesthesia?
1. Ketamine
2. Thiopentone
3. Suxamethonium
4. Diazepam

Correct answer: 1. Ketamine

Explanation: Ketamine is known to cause dissociative anaesthesia. Its primary sites of action are in the cerebral cortex, thalamocortical pathways, and limbic system and not in the brainstem. Ketamine anaesthesia produces a trance like state with associated amnesia, sedation and analgesia. With this, patient appears dissociated from the environment but the eyes remain open and spontaneous involuntary movements can occur. The vital functions of brainstem are preserved. Side effects of ketamine includes: Hypertension Diplopia Nystagmus Dizziness Confusion Seizures Cardiac arrhythmias Nausea,vomiting and sedation Psychomimetic reactions Distressing psychic emergence phenomena Ref: Pediatric Anesthesia edited by Bruno Bissonnette page 378.